Kliiver-Bucy syndrome is associated with lesion in the following area of brain
1. Amygdala
2. Cerebral cortex
3. Hippocampus
4. Mammillary body

Correct answer: 1. Amygdala

Explanation: (A) Amygdala # Kliiver-Bucy syndrome is a behavioral disorder that occurs when both the right and left medial temporal lobes of the brain malfunction. People with lesions in their temporal lobes show similar behaviors.> They may display oral or tactile exploratory behavior (socially inappropriate licking or touching); hypersexuality; bulimia; memory disorders; flattened emotions (placidity)-, and an inability to recognize objects or inability to recognize faces.> The full syndrome rarely, if ever, develops in humans. However, parts of it are often noted in patients with extensive bilateral temporal damage caused by herpes or other encephalitis and dementias of degenerative or post-traumatic etiologies.> This disorder may be caused by many conditions, including facial or cerebral trauma; infections; Alzheimer's disease; Niemann Pick disease of the brain; or cerebrovascular disease.